Hemolytic anemia is associated with a deficiency of which of the following vitamins?
1. Vitamin D
2. Vitamin K
3. Vitamin C
4. Vitamin E

Correct answer: 4. Vitamin E

Explanation: The most important function of vitamin E, is its chain-breaking antioxidant role in the prevention of the non-enzymatic oxidation of cell components, such as the peroxidation of polyunsaturated fatty acids by free radicals. In vitamin E deficiency, there is no prevention of the lipid peroxidation caused due to free radicals. the erythrocyte membranes are rendered abnormally fragile leading to hemolytic anemia. Reference: Harpers illustrated biochemistry 30th edition